Which of the following is non-modifiable risk factor for CHD
1. Diabetes
2. Smoking
3. Hypertension
4. old age

Correct answer: 4. old age

Explanation: Nonmodifiable (Constitutional) Genetic abnormalities,Family history,Increasing age.Male gender Modifiable Hyperlipidemia Hypertension Cigarette smoking Diabetes Inflammation (Robbins Basic Pathology,9th edition,pg no.336)